Animals maintained in a germ free environment did not develop caries even when fed on a high carbohydrate diet is given by:
1. Gottlieb.
2. Miller.
3. Synder.
4. Orland and Fizgerald.

Correct answer: 4. Orland and Fizgerald.